Child knows his/her sex by age of?
1. 2 year
2. 3 year
3. 4 year
4. 5 year

Correct answer: 2. 3 year

Explanation: Ans. is 'b' i.e., 3 year